Which of the following component acts as surface coating agent and transfer load from weaker matrix to stronger stress bearing components:
1. Silane coupling agent
2. Filler
3. Matrix
4. Adhesives

Correct answer: 1. Silane coupling agent

Explanation: Coupling agent : A bonding agent applied to the surfaces of reinforcing particles (filler) to ensure that they are chemically bonded to the resin matrix. Organo-silane compounds are the more common class of dental composite coupling agents. Although titanates and zirconates can be used as coupling agents, organosilanes—such as γ-methacryloxypropyl tri-methoxysilane—are used most commonly.​
Phillips 12 ed page no. 275,286